Pterygium is –
1. A vascular anomaly
2. A connective tissue degeneration
3. An inflammatory condition
4. Associated with Vitamin A deficiency

Correct answer: 2. A connective tissue degeneration

Explanation: Pterygium is the degenerative condition of conjunctiva and is characterized by elastotic degeneration of subconjunctival tissue.